In treatment of papillary carcinomas thyroid, radioiodine destroys the neoplastic cells predominantly by:
1. X-rays
2. Beta rays
3. Gamma rays
4. Alpha particles

Correct answer: 2. Beta rays

Explanation: Ans. (b) Beta raysRef: Schwartz 10th edition, Page 1546* I-131 emits Beta radiation and penetrates the thyroid tissue up to 0.5mm without damaging the adjacent structures like parathyroid.